Features of carcinoma penis are all except -
1. Circumcision soon after birth provides total immunity
2. Metastatic to inguinal nodes
3. Surgery treatment of choice
4. Transitional cell carcinoma

Correct answer: 4. Transitional cell carcinoma